Which of the following is sex linked disorder?
1. Thalassemia
2. Klinefelter's syndrome
3. Hemophilia
4. Neurofibromatosis

Correct answer: 3. Hemophilia